Neonatal thymectomy leads to:
1. Decreased size of germinal center
2. Decreased size of paracortical areas
3. Increased antibody production
4. Increased bone marrow production of Lymphocytes

Correct answer: 2. Decreased size of paracortical areas

Explanation: Tissue Thymus dependent(collection of T-lymphocytes)Thymus-independent Bursa dependent (collection of B-lymphocytes)Spleen Periarterial lymphoid collectionMalpighian corpuscle in white pulpPerifollicular regionGerminal centreMantle layerLymph nodeParacortical area between follicles in cortex and medullary cords in medullaCortical folliclesGerminal centresMedullary cordsThymus-dependent regions are found grossly depleted in neonatal thymectomy (ref: Ananthanarayanan 7/e p119)